The following is not a hepatotoxic antitubercular drug:
1. Ethambutol
2. INH
3. Rifampicin
4. Pyrazinamide

Correct answer: 1. Ethambutol

Explanation: Ethambutol